Minimum time duration for the diagnosis for mania is?
1. 1 week
2. 2 week
3. 3 week
4. 4 week

Correct answer: 1. 1 week

Explanation: ANSWER: (A) 1 weekREF: Kaplan 8f Sadock's Synopsis of Psychiatry: Behavioral Sciences/Clinical Psychiatry, 10th Edition, American Psychiatric Association, Diagnostic and Statistical Manual of Mental Disorders. 4th editionRepeat from June 2010Time frame of mood disorders:ConditionMinimum timeMajor depressive episode2 weeksMajor depressWe disorder, Recurrent2 episodes separated by 2 monthsDysthymic disorder2 yearsCyclothymic disorder2 yearsManic episode1 weekMixed episode1 weekHypomanic episode4 daysRapid cycling bipolar IAt least 4 episodes/yearSlow cyclers bipolar I1-3 episodes/yearPostpartum mood disturbanceOnset within 4 weeks postpartumDSM-IV-TR Criteria for Manic EpisodeA distinct period of abnormally and persistently elevated, expansive, or irritable mood, lasting at least 1 week (or any duration if hospitalization is necessary).During the period of mood disturbance, three (or more) of the following symptoms have persisted (four if the mood is only irritable) and have been present to a significant degree:Inflated self-esteem or grandiosityDecreased need for sleep (e.g., feels rested after only 3 hours of sleep)More talkative than usual or pressure to keep talkingFlight of ideas or subjective experience that thoughts are racingDistractibility (i.e., attention too easily drawn to unimportant or irrelevant external stimuli)Increase in goal-directed activity (either socially, at work or school, or sexually) or psychomotor agitationExcessive involvement in pleasurable activities that have a high potential for painful consequences (e.g., engaging in unrestrained buying sprees, sexual indiscretions, or foolish business investments)The symptoms do not meet criteria for a mixed episode.The mood disturbance is sufficiently severe to cause marked impairment in occupational functioning or in usual social activities or relationships with others, or to necessitate hospitalization to prevent harm to self or others, or there are psychotic features.The symptoms are not due to the direct physiological effects of a substance (e.g., a drug of abuse, a medication, or other treatment) or a general medical condition (e.g., hyperthyroidism). Note: Manic-like episodes that are clearly caused by somatic antidepressant treatment (e.g., medication, electroconvulsive therapy, and light therapy) should not count toward a diagnosis of bipolar I disorder.